Most common cause of fracture in hemophilic arthropathy-
1. Osteoporosis & restrictive joint movement
2. Cartilage destruction
3. Inflammatory arthropathy
4. Osteosclerosis

Correct answer: 1. Osteoporosis & restrictive joint movement